On X-ray, joint swelling & intra-articular 'calcification' appearance is seen in:
1. Osteopetrosis
2. Paget's disease
3. Rheumatoid arthritis
4. Charcot's joint

Correct answer: 4. Charcot's joint

Explanation: Ans. D i.e. Charcot's joint